Buggery is term used commonly for
1. Sodomy
2. Buccal coitus
3. Tribadism
4. Bestiality

Correct answer: 1. Sodomy

Explanation: Sodomy Sodomy is anal intercourse with another man or woman. Anal intercourse between man and woman is generally termed as buggery Ref: FORENSIC MEDICINE AND TOXICOLOGY Dr PC IGNATIUS THIRD EDITION PAGE 308